A 50-year-old male presented with progressive unilateral sensorineural hearing loss associated with tinnitus since 2 years. There was marked difficulty in understanding speech which was out of proportion to the pure tone hearing loss. Patient also complained of reduced corneal sensitivity, numbness and paresthesia of face along with hypoesthesia of posterior meatal wall. O/E, PTA showed sensorineural type of hearing loss Poor speech discrimination score Absence of recruitment phenomena with SISI score of 0-20%. CEMRI The contents of most common site for this pathology are all except: -
1. Facial nerve
2. Flocculus of the cerebellum
3. Anterior inferior cerebellar artery
4. Posterior inferior cerebellar artery

Correct answer: 4. Posterior inferior cerebellar artery

Explanation: This is a case of acoustic neuroma and its most common site is the cerebellopontine cistern. Contents of Cerebellopontine cistern: - Vestibulocochlear nerves AICA Superior petrosal veins Flocculus of cerebellum Acoustic neuroma: - Cochlear pathology Most common site is the CP angle SDS score is <90% (But it is very poor in retrocochlear pathology) Roll over phenomena is absent but is present in retrocochlear pathology. Recruitment and stapedial reflex are present but absent in retrocochlear pathology. Involvement of 5th, 6th, 7th and 8th cranial nerves.